A mother is diagnosed to have sickle cell disease, her husband is normal. What is the chances of having children with sickle cell disease and sickle cell trait respectively?
1. 0 and 100%
2. 25 and 25%
3. 50 and 50%
4. 10 and 50%

Correct answer: 1. 0 and 100%

Explanation: Sickle cell anemia is an autosomal recessive disease. If mother has sickle cell disease (SS) and father is normal (AA), all of the offspring will be sickle cell trait (SA). Thus percentage of sickle cell disease (SS) will be zero and that of sickle cell trait (SA) will be 100%. Ref: Robbins Pathologic Basis of Disease, 7th Edition, Page 628 ; Children and Their Families: The Continuum of Care By Vicky R. Bowden, Page 1207